In which type of abortion the gestational age corresponds to the uterine size?
1. Threatened
2. Inevitable
3. Complete
4. Mixed

Correct answer: 1. Threatened

Explanation: Ans. A.ThreatenedIn Threatened abortion the gestational age corresponds to the uterine size.